KISHORI SHAKTI YOJANA has been designed to improve nutritional status of
1. Adult men
2. Senior citizens
3. Under five children
4. Adolescent girls

Correct answer: 4. Adolescent girls